Maximum 02 concentration attained in venture mask is?
1. 90%
2. 100%
3. 60%
4. 80%

Correct answer: 3. 60%

Explanation: 60% REF: Ajay Yadav 2nd ed p.35 Equipment and oxygen delivered in % * Nasal canula - 44% * Venturi mask - 60% * Oxygen mask - 60% * Ventilators - 100%